FNAC cannot detect which of the following ?
1. Follicular carcinoma
2. Colloid goitre
3. Papillary carcinoma
4. Hashimoto thyroiditis

Correct answer: 1. Follicular carcinoma

Explanation: in follicullar carcinoma FNAC is inconclusive because capsular and angioinvasion which can't be detected by FNAC ref ;(page no;483) 5th edition of SRB'S Manual of SURGERY